Anticholinesterases drugs are used in :-
1. Alzheimer's disease
2. Multiple sclerosis
3. Guillain Barre syndrome
4. To produce mydriasis

Correct answer: 1. Alzheimer's disease

Explanation: ALZHEIMER'S DISEASE : It is a progressive neurodegenerative disorder of old age, primarily affecting cholinergic neurons in the brain. These drugs act by inhibiting acetylcholinesterase, thus increasing the availability and prolonging the action of ACh. Tacrine was the drug of choice for Alzheimer's disease but due to several limitations (frequent dosing requirement, hepatotoxicity, diarrhea), other drugs like donepezil, rivastigmine and galantamine are now the preferred agent. Memantine- For moderate to severe disease Cholinesterase inhibitors and memantine have effect on behavioral and psychiatric symptoms No disease modifying treatment is available at present